Vasponstricator L.A. is
1. Cocaine
2. Procaine
3. Lidocaine
4. Chlorprocain

Correct answer: 1. Cocaine

Explanation: All local anaesthetics are vasodilators except cociane which is a vasoconstrictor